Osteporosis may be seen in all except-
1. Hyperparathyroidism
2. Hypoparathyroidism
3. Thyrotoxicosis
4. Heparin administration

Correct answer: 2. Hypoparathyroidism

Explanation: Hyperparathyroidism, Thyrotoxicosis and heparin administration can cause osteoporosis.